Malignant melanoma of the choroid with following histopathological features has got the worst prognosis:
1. Epitheloid cell melanoma
2. Spindle - A melanoma
3. Spindle - B melanoma
4. Mixed cell melanoma

Correct answer: 1. Epitheloid cell melanoma

Explanation: Ans. Epitheloid cell melanoma